Desmoplaskin is the target antigen in:
1. Pemphigus vulgaris.
2. Paraneoplastic pemphigus.
3. Drug induced pemphigus.
4. Pemphigus foliaceous.

Correct answer: 2. Paraneoplastic pemphigus.

Explanation: Paraneoplastic pemphigus is a severe variant of pemphigus, associated with an underlying neoplasm - most frequently non Hodgkin's lymphoma, chronic lymphocytic leukemia, thymoma, and castleman disease. Tumor antigens are hypothesized to evoke an immune response that leads to the development of an autoimmune response to intercellular adhesins (plakins). This autoantibody response leads to blistering in mucosa and other epithelia.